Leptospira icterohemorrhagica infection is transmitted by -
1. Bats
2. Rats
3. Birds
4. Dogs

Correct answer: 2. Rats

Explanation: Ans. is 'b' i.e., Rats